Which of the following is true about the endometrium
1. Spiral arteries extend directly from radial arteries.
2. Basal artery comes directly from arcuate artery.
3. Spiral arteries extend directly from arcuate artery.
4. Spiral arteries and radial arteries are in functionalis layer of endometrium.

Correct answer: 1. Spiral arteries extend directly from radial arteries.

Explanation: From the arcuate arteries, radial branches originate at right angles, traverse inward through myometrium, enter endometrium and branch there to become basal arteries or coiled spiral arteries, spiral arteries supply functionalis layer.